Which of the following type of cell does NOT migrate from the base of the crypt to ends of villi?
1. Enterocyte
2. Endocrine cell
3. Paneth cell
4. Goblet cell

Correct answer: 3. Paneth cell

Explanation: Paneth cells move downward to the crypt base whereas other cell types move upwards towards the villus tip.Under normal physiological circumstances, cells within the intestinal epithelium are continuously and rapidly replaced by migration of cells onto the villus from several adjacent crypts of Leiberkuhn or intestinal glands. 4 differentiated cell types of the small intestine are all derived from multipotent stem cells located near the base of each intestinal crypt. Goblet cells and enterocytes undergo terminal differentiation as they are rapidly translocated upward from the zone of proliferation to the apical extrusion zone located adjacent to the villus tip, where they undergo apoptosis and are sloughed into the lumen. Enteroendocrine cells differentiate during migration from the zone of proliferation in either direction.